Drug used to prevent alcohol withdrawal in deaddiction is ?
1. Diazepam
2. Clonidine
3. Propranolol
4. Methadone

Correct answer: 1. Diazepam